Cortical lesions are usually accompanied by word blindness due to involvement of
1. Angular gyrus
2. Laterla geniculate body
3. Occipital cortex
4. Edinger-Westphal nucleus

Correct answer: 1. Angular gyrus